Pseudopolyps are features of-
1. Crohn's disease
2. Ulcerative colitis
3. Celiac sprue
4. Whipple's disease

Correct answer: 2. Ulcerative colitis

Explanation: Isolated islands of regenerating mucosa often bulge into the lumen to create small elevations, termed as pseudopolyps in Ulcerative Colitis TEXTBOOK OF ROBBINS BASIC PATHOLOGY NINTH EDITION PAGE.590 IMAGE REF: TEXTBOOK OF PATHOLOGY HARSH MOHAN, 6TH EDITION, FIG: 20.27 PAGE :568